What is the size of particle is rapid sand filter?
1. 0.1 mm
2. 0.2
3. 0.5
4. 0.4 to 0.7 mm

Correct answer: 4. 0.4 to 0.7 mm

Explanation: The effective size of the sand particle is 0.4-0.7 mm in case of the rapid sand filter and 0.2-0.3 mm in case of the slow sand filter. (PARK TB 25th edition pg 774)